Which is most likely complication of IUD
1. Hypofibrinogenemia
2. Sterility
3. Cervical tear
4. None of the above

Correct answer: 1. Hypofibrinogenemia

Explanation: Ans. is a i.e. Hypofibrinogenemia Complication of UID Psychological upset. Uterine Infections. Blood coagulation disorder : If the fetus is retained for more than 4 weeks (as occurs in 10-20%) there is a possibility of defibrination (hypofibrinoginemia) from silent disseminated intravascular coagulopathy (DIC). During labor -- Uterine inertia, retained placenta and PPH. Hypofibrinogenimia occurs due to gradual absorption of thromboplastin, liberated from the dead placenta and decidua, into the maternal circulation. Critical level of fibrinogen is = 100 mg/ml. Hypofibrinogemia / defibrination is observed predominantly in -- Retained dead fetus -- Rh incompatibility